Condition which do not have granuloma?
1. TB
2. Sarcoidosis
3. Leprosy
4. Infarction

Correct answer: 4. Infarction

Explanation: Ans: d (Infarcion) Ref: Robbins, 7th ed, p. 83;p. 138The dominant histological characteristic of infarction is ischaemic coagulative necrosis, except in the central nervous system where the feature is that of liquefactive necrosis. It will not lead to granuloma formation.Granuloma: Focus of chronic inflammation consisting of microscopic aggregation of macrophages transformed into epithelium like cells surrounded by a collar of mononuclear leucocytes, principally lymphocytes & occasionally plasma cells.Types:Foreign body granuloma, eg. talc, sutureImmature granuloma: insoluble particles especially microbes, eg. tubercle granuloma.Granulomatous inflammation:TB, leprosy, sarcoidosis, cat scratch disease, brucellosis, syphilis, LGV, berylliosis, some mycotic infections.Chemichal mediators of DHS (delayed hypersensitivity) are:-IL2, IL3, TNF a, a, IFN by TH1 helper cells(The chief mediator is IFNRemember: The most important inflammatory mediator = TNF aTH2 helper cells secrete IL 3, 4, 5, 6, 10, 13